Local anaesthetic with prolonged action -
1. Procaine
2. Cocaine
3. Lidocaine
4. Dibucaine

Correct answer: 4. Dibucaine

Explanation: Ans. is 'd' i.e., Dibucaineo Dibucaine is the longest acting local anaesthetico Chlorprocaine is the shortest acting local anaesthetico Decreasing order of duration : - Dibucaine > Bupivacine = Tetracaine = Ropivacaine =Etidocaine > Prilocaine = Lignocaine = Mepivacaine = Cocaine > Procaine > Chlorprocaine.